Family health awareness campaign was launched to raise awareness regarding:
1. Reproductive health
2. Coronary heart disease
3. Tuberculosis
4. None of the above

Correct answer: 1. Reproductive health

Explanation: The family health awareness campaign is an effort to raise awareness about issues related to reproductive health especially in rural and other marginalised populations. Ref: Park 21st edition, page 399.